Commonly used radioisotope for measuring red cell volume
1. Chromium
2. Cobalt
3. Iron
4. Hydrogen

Correct answer: 1. Chromium

Explanation: Red cell volume is commonly measured by tagging RBC with Chromium 51.